True about popliteus are all except?
1. Flexor of knee
2. Intracapsular origin
3. Supplied by tibial nerve
4. Causes locking of knee

Correct answer: 4. Causes locking of knee

Explanation: Popliteus Popliteus is a deep muscle of posterior compartment of leg. Features of popletius are - Origin Lateral surface of lateral condyle of femur, origin is intracapsular. Outer margin of lateral meniscus of knee. Insertion Posterior surface of shaft of tibia above soleal line. Nerve supply Tibial nerve Action Ulocks knee joint by lateral rotation of femur on tibia prior flexion. Accessory flexor of knee.